Which of the following is not true regarding schirmer test:-
1. Measures combined basal and reflex tear secretion
2. Relatively specific, but poorly sensitive
3. Eyes closed/blink normally for 5 minutes
4. Useful in non co-operative adults and children

Correct answer: 4. Useful in non co-operative adults and children

Explanation: The Schirmer's I test Measures combined basal and reflex tear secretion Relatively specific, but poorly sensitive Eyes closed / blink normally for 5 minutes Not useful in non co-operative adults and children Amount of wetting >10mm -normal 5-10mm -borderline < 5 mm is abnormal 5-minute Schirmer test with and without anesthesia is abnormal <5 mm with anesthesia <10 mm without anesthesia The Schirmer's II test Measures reflex tearing Addition of nasal mucosal irritation with a cotton tipped applicator Amount of wetting < 15 mm after 5 minutes - abnormal reflex secretion -moderate to severe dry eye For differentiating non-Sjogren's from Sjogren's syndrome Patient cooperation is essential for performing the test.